A cardiologist wants to study the effect of an antihypertensive drug. He notes down the initial systolic blood pressure (mmHg) of 50 patients and then administers the drug on them. After a week's tretment, he measures the systolic blood pressure again. Which of the following is the most aproprate statistical test of significance to test the statistical significance of the change in blood pressure -
1. Paired t-test
2. Unpaired or independent t-test
3. Analysis of variance
4. Chi-square test

Correct answer: 1. Paired t-test

Explanation: In the given question, a cardiologist wants to study the effect of an anti-hypertensive drug. So he will compare mean BP of 50 patients before and after administering the drug. Thus Paired t-test will be most appropriate test of significance